Theory of "Psychosexual development" was given by?
1. Anna Freud
2. Sigmund Freud
3. Jean paiget
4. Skinner

Correct answer: 2. Sigmund Freud

Explanation: ANSWER: (B) Sigmund FreudREF: Kaplan & Sadock's Synopsis of Psychiatry, 10th Edition, page 195, http://en.wikipedia.org/ wiki/ Psych os exuai_develop men tAccording to Sigmund Freud, personality is mostly established by the age of five. Freud's theory of psychosexual development is one of the best known, but also one of the most controversial.In Freudian psychology, psychosexual development is a central element of the psychoanalytic sexual drive theory, that human beings, from birth, possess an instinctual libido (sexual appetite) that develops in five stages. Each stage -- the oral, the anal, the phallic, the latent, and the genital -- is characterized by the erogenous zone that is the source of the libidinal drive. Sigmund Freud proposed that if the child experienced anxiety, thwarting his or her sexual appetite during any libidinal (psychosexual) development stage, said anxiety would persist into adulthood as a neurosis, a functional mental disorder